Which of the following muscle relaxants causes maximal pain on injection
1. Succinyl choline
2. Vecuronium
3. Rocuronium
4. Cistracurium

Correct answer: 3. Rocuronium

Explanation: The major disadvantage of rocuronium is the pain associated with its injection, the cause of which is not clear. With a subparalysing dose, 50-100% of patients report discomfort.Even after induction of anaesthesia with propofol or thiopental, rocuronium causes hand or limb withdrawal in 85% of patients, suggesting the presence of intense nociception, even during anaesthesia